Zinc is a cofactor of
1. Alcohol dehydrogenase
2. Pyruvate Carboxylase
3. Pyruvate oxidase
4. None of the above

Correct answer: 1. Alcohol dehydrogenase

Explanation: Metalloenzymes: These enzymes hold the metals rather tightly which are not readily exchanged. 
Alcohol dehydrogenase, carbonic anhydrase, alkaline phosphatase, carboxypeptidase and aldolase contain zinc.
Phenol oxidase (copper); Pyruvate oxidase (manganese); Xanthine oxidase (molybdenum); Cytochrome oxidase (iron and copper).
Satyanrayana, Ed 3, page no 91